A tumor has the following characteristics retrobulbar location within the muscle cone, well defined capsule, presents with slowly progressive proptosis,easily resectable, occurs most commonly in the 2nd to 4th decade. Most likely diagnosis is -
1. Capillary hemangioma
2. Cavernous hemangioma
3. Lymhangioma
4. Hemangiopericytoma

Correct answer: 2. Cavernous hemangioma

Explanation: Commonest benign orbital tumor in adults with female prepinderance( 70%) and it is located in the retrobulbar muscle .it may compresses the optic nerve without causing proptosis. Ref.ak khurana 6th edition pg no418 REF IMG